Examples of periodontal dressing packs:
1. Wonder pack& Coe pack
2. Cynoacrylates
3. Tissue conditioners
4. All of the above

Correct answer: 4. All of the above